Folate deficiency occurs due to :
1. Phenytoin
2. Phenobarbitone
3. Primidone
4. All

Correct answer: 4. All